Barrett's esophagus is diagnosed by
1. Squamous metaplasia
2. Intestinal metaplasia
3. Squamous dysplasia
4. Intestinal dysplasia

Correct answer: 2. Intestinal metaplasia

Explanation: Ans. (b) Intestinal metaplasiaRef: Sabiston 19th edy page 1033* Barretts esophagus is characterized by metaplasia of esophageal squamous epithelium into columnar in distal esophagus.* For diagnosis of Barretts esophagus it requires both endoscopically visible segment of columnar lining of distal esophagus and intestinal metaplasia showing goblet cells on biopsy.* Barretts esophagus is the single most important risk factor for adenocarcinoma of esophagus.* Adenocarcinoma develops at the squamo-columnar junction or within 2 cm from the junction.